Goose skin or cutis anserina seen in:
1. Drowning
2. Lightening
3. Strangulation
4. Fire arm injury

Correct answer: 1. Drowning

Explanation: The shown image is of condition known as ''Goose skin'' which is seen in case of ''drowning in cold water'' Cutis anserina (Goose skin or Goose flesh): Skin has granular and puckered appearance. Caused by contraction of erector pili muscles, attached to each hair follicle. Can occur in: Living : When skin is in contact with cold water. Dead : On submersion in cold water immediately after death and is also produced by rigor mortis of erector muscles.